All are parts of vulva except
1. Labia minora
2. Labia majora
3. Perineal body
4. Clitoris

Correct answer: 3. Perineal body

Explanation: The vulva includes the mons pubis, labia majora (outer lips), labia minora (inner lips), clitoris, and the external openings of the urethra and vagina. ref - BDC 6e vol2 pg 358 , pubmed.com